The most common coupling agents are organic silicon compounds called
1. parabane
2. ligane
3. silane
4. chelane

Correct answer: 3. silane